Aggravation of myasthenia is a feature of all the following drugs except -
1. Gentamicin
2. Neomycin
3. Edrophonium
4. Succinyl

Correct answer: 3. Edrophonium